If the prevalence is very low as compared to the incidence for a disease, it implies:
1. Disease is very fatal and/or easily curable
2. Disease is non-fatal
3. Calculation of prevalence & incidence is wrong
4. Nothing can be said, as they are independent

Correct answer: 1. Disease is very fatal and/or easily curable

Explanation: Prevalence = Incidence X Mean duration of the disease (P = I X d) Incidence reflects causal factors Duration reflects the prognostic factors In the given question, prevalence is very low as compared to the incidence for a disease. Thus, d has to be low; duration of the disease can be short under 2 circumstances: Either disease is very fatal, or Disease is easily curable